ABO blood group inheritance is an example of:
1. Codominance
2. Mitochondrial inheritence
3. Allelic exclusion
4. Sex-linked Inheritance

Correct answer: 1. Codominance

Explanation: When both of the alleles of a gene pair contribute to the phenotype, this is called as codominance. Good examples of codominant inheritance are: Histocompatibility Blood group antigens